Ramu, 15 yrs of age presents with hemorrhage 5 hrs after tonsillectomy. Treatment of choice is -
1. External gauze packing
2. Antibiotics & mouth wash
3. Irrigation with saline
4. Reopen immediately

Correct answer: 4. Reopen immediately

Explanation: "Reactionary hemorrhage occur within a few hours of the operation and may be severe. It may occur after the operation and is treated by a return to the theatre when the vessel is ligated under anaesthesia".
─ Turner 10th/e p. 366